All are indications for dialysis in a case of acute renal failure except:
1. Uremia
2. Hyponatremia
3. Hyperkalemia
4. Metabolic acidosis

Correct answer: 2. Hyponatremia

Explanation: Ans: B (Hyponatremia) Ref: Harrison's principles of Internal Medicine. 18th edition. 2012. Chapter 279.Explanation:Indications for Dialysis in ARFVolume overload,Hyperkalemia.Metabolic acidosis,In some toxic ingestionsSevere complications of uremia (asterixis, pericardial rub or effusion, encephalopathy, uremic bleeding).